Thumb Sign is seen in-
1. Epiglottitis
2. Layngitis
3. CA Larynx
4. Mediastinitis

Correct answer: 1. Epiglottitis

Explanation: Ans. is 'a' i.e., Epiglottitis o Thumb sign (thickening of epiglottis) and vallecula sign are seen in epiglottitis.